Which is safest to be used in asthmatic patients –
1. Nitrazepam
2. Phenobarbitone
3. Chloral hydrate
4. All hypnotics are safe

Correct answer: 1. Nitrazepam

Explanation: Safe in asthma → Propofol, etomidate, ketamine, vecuronium, rocuronium, Pancuronium, Halothane, Sevoflurane, Desflurane, Isoflurane, Pethidine, Fentanyl, Alfentanil, Benzodiazepines (Nitrazepam).